Bile ductopenia seen in
1. GVHD
2. Alcoholic hepatitis
3. Autoimmune hepatitis
4. Cirrhosis

Correct answer: 1. GVHD

Explanation: Ductopenia Ductopenia refers to a reduction in the number of ducts in an organ. It is the histological hallmark of vanishing bile duct syndrome (typically <0.5 bile ducts per portal triad). The most common cause of ductopenia is primary biliary cholangitis. Other causes failing liver transplant Hodgkin's lymphoma graft-versus-host disease (GVHD) sarcoid cytomegalovirus infection, HIV medication toxicity. Ref: Harrison's 19th edition Pgno :2027-2028